Intraoccular lenses are made up of
1. PMMM
2. Hydrophilic acrylic
3. Silicon
4. All of the above

Correct answer: 4. All of the above

Explanation: Ans. d. (All of the above). (Ref. Parsons, disease of Eye, 19th /296, Basak, Ophthalmology, 2nd/324)IOL# IOL implantation was first performed by Dr. Harold Ridley (1949).# Material used for manufacturing IOL:Optic materialHaptic materialNon foldableFoldablePolypropylene PMMAAcrylicPolymethyl methacrylate (PMMA)SiliconeHydrophobic acrylicHydrophilic acrylic # A USG machine equipped with A scan and IOL power calculation software is known as biometry.Calculation of IOL power (P)P = A- 2.5 L-0.9kWhere,# P = Power of IOL.# A = Constant specific for each lens type.# L = Axial length of eye ball in mm by A scan.# K = Angular corneal curvature by Keratometry.IOL implantation is of 2 typesPrimary (at the same sitting with operation) and Secondary (after operation of cataract surgery)Types of IOLACIOL (outdated) and PCIOL (routinely; ECCE)Parts of IOLOptic and Haptic (anchors IOL in position)Sterilization of IOLBy ethylene oxideContraindications for IOL- Congenital bilateral cataract.- Uncontrolled glaucoma.- Corneal endothelial dystrophy.- Proliferate diabetic retinopathy.- Recurrent anterior/posterior segment inflammation.- One eyed patient.- Complicated IOL implantation in other eye.